Where is the Cave of Retzius present?
1. Between urinary bladder and rectum
2. Between urinary bladder and cervix
3. In front of the bladder
4. Between the cervix and the rectum

Correct answer: 3. In front of the bladder

Explanation: Space of Retzius
-        Horseshoe shaped space
-        Between the anterolateral pelvic wall and the sides of bladder and prostate.